Normal serum complement levels would be seen in patients with hematuria, proteinuria, and hypertension resulting from which of the following
1. Mixed essential cryoglobulinemia
2. Hepatitis C-associated membranoproliferative glomerulonephritis
3. Diffuse proliferative lupus nephritis
4. Henoch-Schonlein purpura

Correct answer: 4. Henoch-Schonlein purpura

Explanation: Cryoglobulinemia with renal involvement is associated with hypocomplementemia in the majority of cases. In addition, it has been well recognized that hepatitis C is often associated with cryoglobulinemia. Diffuse proliferative lupus nephritis (WHO class IV) is the most aggressive form of the disease and is also associated with hypocomplementemia. Early in the course of postinfectious glomerulonephritis, immune complex deposition is in full force and serum complements are low. Henoch-Schonlein purpura, the systemic manifestation of IgA nephropathy, is not associated with hypocomplementemia. Other causes of hypocomplementemia glomerulonephritis are glomerulonephritis associated with bacterial endocarditis or other chronic infections as well as membranoproliferative glomerulonephritis. Ref - Harrison's internal medicine 20e pg 2586